Which of the following is false about mycetoma
1. Can affect lower and upper extremities
2. Caused by actinomycetes and filamentous fungi
3. Diagnosis is by examination of pus
4. Uncommon in India

Correct answer: 4. Uncommon in India

Explanation: The disease was first described by gill from Madurai, South India. Quite common in Tamilnadu, India. Ref: Textbook of Microbiology, Ananthanarayan and Paniker; 9th edition